Glucose is transported in pancreas through which receptor?
1. GLUT 1
2. GLUT 2
3. GLUT 3
4. GLUT 4

Correct answer: 2. GLUT 2

Explanation: The transcellular movement of glucose, in this case, involves one additional component: a uniport (Figure 40-19) that allows the glucose accumulated within the cell to move across the basolateral membrane and involves a glucose uniporter (GLUT2).Glucose uptake into muscle and adipose tissue is controlled by insulin, which is secreted by the b-islet cells of the pancreas in response to an increased concentration of glucose in the portal bloodRef: Harper's Biochemistry, 30th edition, page no: 491